"Vital Layer" in slow sand filter is:
1. Sand bed
2. Zoological layer
3. Supernatan
4. Under drainage layer

Correct answer: 2. Zoological layer

Explanation: Zoological layer